Calculate BMI of a person of height 1.72m and 89 kgs weight
1. 25
2. 27
3. 33.5
4. 30

Correct answer: 4. 30

Explanation: Body Mass Index (Quetlet's Index) : In the given question, weight = 89 kgs and Height=1.72 m. This, Wt/Ht2= 89/1.72x2 = 30 Ref: Park 25th edition Pgno : 418